Tumour lysis syndrome all occurs except
1. Hyperkalemia
2. Hypercalcemia
3. Hyperuricemia
4. Hyperphosphatemias

Correct answer: 2. Hypercalcemia

Explanation: Hypercalcemia Tumor lysis syndrome occurs during the treatment of malignanciesQ. It is most frequently seen during the treatment of Burkitt's lymphoma. Tumor lysis syndrome Destruction of large number of rapidly proliferating neoplastic cells leads to release of a number of intracellular electrolytes which causes following effect: Hyperuricenzia0 This is produced due to destruction of large number of malignant cells. This huge turnover of cells due to killing of the cells produces hyperuricemia. Hyperuricemia may be present. from the beginning due to increased turnover of the cells in malignancy. Hyperphosphatemia Caused due to release of intracellular phosphate pool by tumour cell lysis. Hypocalcemiae Hyperphosphatemia produces reciprocal decrease in serum calcium. Hyperkalemia Potassium is the principal intracellular cation and massive destruction of malignant cells may lead to hyperkalemia Lactic acidosis and dehydration